Which one of following is functions of PGI2?
1. Vasoconstriction and inhibits platelet aggregation
2. Vasodilator and inhibits platelet aggregation
3. Vasoconstriction and increases platelet aggregation
4. Vasodilator and increases platelet aggregation

Correct answer: 2. Vasodilator and inhibits platelet aggregation

Explanation: The most important PG ones in inflammation are:-PGE2, PGD2, PGF2a, PGI2 (prostacyclin), and TxA2 (thromboxane A2), each of which is derived by the action of a specific enzyme on an intermediate in the pathway. Note:-A thromboxane-prostacyclin imbalance has been implicated as an early event in thrombus formation in coronary and cerebral blood vessels.